In Judicial hanging which vertebrae are dislocated?
1. Atlantoaxial
2. C2-C3
3. C3-C4
4. C4-C5

Correct answer: 2. C2-C3

Explanation: ANSWER: (B) C2-C3 REF: Parikh 6th edition page 3.44, Forensic Medicine By P.V. Guharaj 2nd ed page 143, Textbook of Forensic Medicine & Toxicology: Principles & Practice By Krishan Vij 5th ed page 161See difference of Antemortem and postmortem hanging in Forensic medicine June 2009In Judicial hanging death takes place due to fracture dislocation at the level of 2nd and 3rd cervical vertebra which is caused by sudden drop. Fracture dislocation of 1st and 2nd vertebra is less common.The most frequent cause of death by hanging is obstruction of the cervical blood vessels. Fracture of the spine and the base of the skull are rarely observed in cases of death by hanging and if so, generally only in cases of a fall from a certain height ("drop") as in judicial hanging,